Increased levels of alanine in serum after fasting suggest
1. Increased release of alanine from muscle
2. Reduced amino acid utilisation for gluconeogenesis
3. Break in continuity of plasma membrane resulting in leakage of amino acids
4. Decreased uptake of alanine by liver

Correct answer: 1. Increased release of alanine from muscle

Explanation: During starvation, muscle proteins are degraded to serve amino acids (especially alanine) as substrates for gluconeogenesis.
Alanine also arises from transamination of pyruvate in the muscles.
Alanine is transported to liver for gluconeogenesis.